All are true regarding 'Positive health' in today's world except:-
1. Dependent on social, economic and culture
2. Mirage because of changing environment
3. Body and mind at peace
4. Changing behavior with respect to change in future

Correct answer: 4. Changing behavior with respect to change in future

Explanation: Concept of Positive Health: Perfect functioning of body and mind. Conceptualize health biologically, psychologically and socially. Depends on economic, social and cultural factors. Positive health remains a mirage due to constant change. - Hence option-4 is the answer.